In a perfect smile, the ratio of width to height of maxillary incisor is:
1. 8:10
2. 6:08
3. 10:14
4. 20:25

Correct answer: 1. 8:10